Adult respiratory distress syndrome is defined by all except:
1. PCWP > 18 mmHg
2. PaO2/FiO2 < 200
3. Diffuse bilateral air space edema on Chest X-Ray
4. All of the above

Correct answer: 1. PCWP > 18 mmHg

Explanation: Diagnostic Criteria Acute Lung Injury (ALI) ARDS PaO2/FiO2 </= 300 mmHg </= 200 mmHg Onset Acute Acute Chest X-Ray Bilateral alveolar or interstitial infiltrates Bilateral alveolar or interstitial infiltrates Absence of Left Atrial Hypertension PCWP </= 18 mmHg No Clinical evidence of increased left atrial pressure PCWP </= 18 mmHg No clinical evidence of increased left atrial pressure Ref: Harrison's 19th edition Pgno: 1736